A 67 yr male with history of chronic smoking hemoptysis with cough. Bronchoscopic biopsy from centrally located mass shows undifferentiated tumor histopathologically. Most useful I.H.C. (immunohistochemical) marker to make a proper diagnosis would be
1. Cytokeratin
2. Parvalbumin
3. HMB-45
4. Hep-par1

Correct answer: 1. Cytokeratin

Explanation: • The presence of chronic smoking, cough and hemoptysis in old man is a pointer towards a diagnosis of bronchogenic cancer. The central location suggests the possibility of a squamous cell cancer.
• Robbins writes “Histologically, this tumor is characterized by the presence of keratinization and/or intercellular bridges”.
Other options: HMB (melanoma), Hep par1 (liver cancer) and parvalbumin (schizophrenia).